True about COPD are all except:
1. Polycythemia
2. Left ventricular Failure
3. Right ventricular Failure
4. Clubbing is not a sign of COPD

Correct answer: 2. Left ventricular Failure

Explanation: Ans. B: Left ventricular Failure The natural course of severe COPD is punctuated by episodes of acute exacerbation of symptoms, each accelerating further decline in lung function with eventual development of chronic respiratory failure, pulmonary artery hypertension, right ventricular hypertrophy and failure. This sequence terminates fatally. Secondary polycythemia due to chronic hypoxemia may develop in persons with severe chronic obstructive pulmonary disease (COPD) or in those patients who smoke excessively. A hematocrit value of more than 52% in males and more than 47% in female indicates disease. Clubbing is not a sign of COPD, and it's presence should alert the clinician to investigate the cause of clubbing.